All of the following are true about bilhemia except:
1. Biliary pressure is more than portal pressure
2. ERCP is diagnostic and therapeutic
3. Death occurs due to embolism of bile in lungs
4. Patient has hyperbilirubinemia with raised enzymes

Correct answer: 4. Patient has hyperbilirubinemia with raised enzymes

Explanation: BILHEMIA: The bile starts flowing into systemic veins. M.C cause- CBD obstruction (CBD stone) Characteristics: rapidly increasing jaundice, marked hyperbilirubinemia, liver enzymes are normal, septicemia, can be fatal due to massive embolization of bile into lungs. IOC - ERCP (diagnostic & therapeutic) Management - decrease intrabiliary pressure by stenting or sphincterotomy.